Escherichia coli gives pink color with
1. Chocolate agar
2. LJ medium
3. MacConkey's medium
4. Saline broth

Correct answer: 3. MacConkey's medium

Explanation: Escherichia Coli is a gram-negative, straight rod. Has good growth in ordinary media. On MacConkey medium, grows pink colonies due to lactose fermentation. On blood agar hemolytic colonies. In broth general turbidity and heavy deposit, disperse completely on shaking. Reference: Textbook of Microbiology; Anathanarayan and paniker's; 10th edition; Page no: 280